Good pasture's syndrome is characterized by all of the following, except:
1. Glomerulonephritis
2. Leucocytoclastic Vasculitis
3. Diffuse alveolar haemorrhage
4. Presence of antibodies to Basement Membrane

Correct answer: 2. Leucocytoclastic Vasculitis

Explanation: Answer is B (Leucocytoclastic Vasculitis) Leucocytoclastic vasculitis is not a typical feature of Good pasture's syndrome Triad of Goodpasture's syndrome (Ferri 's Color Atlas & Text of Clinical Medicine) Glomerulonephritisdeg (RPGN; crescents) Pulmonary HaemorrhageQ (Diffuse Alveolar Haemorrhage) Antibodies to basement membrane antigensQ (Anti-GBM antibodies)